Milk Fluoridation was introduced by
1. Knutson
2. Bibby
3. Wespi
4. Zeigler

Correct answer: 4. Zeigler